Papillae involved in intraoral acanthosis nigricans is
1. Filliform papillae
2. Circumvallate papillae
3. Fungiform papillae
4. All of the above

Correct answer: 1. Filliform papillae